All drains into middle meatus except -
1. Lacrimal duct
2. Maxillary sinus
3. Frontal sinus
4. Ethmoidal sinus

Correct answer: 1. Lacrimal duct